Examples of type I hypersensitivity is -
1. Lepromin test
2. Tuberculin
3. Casoni's test
4. Arthus reaction

Correct answer: 3. Casoni's test

Explanation: Casoni test is example of type 1 hypersensitivty reaction. Examples of Type I Hypersensitivity Reaction 1. Experiments to demonstrate type I hypersensitivity reaction: P-K reaction, Schultz Dale phenomenon and Theobald smith phenomenon 2. Systemic anaphylaxis 3. Localized anaphylaxis (atopy) such as: Allergic rhinitis (or hay fever) Asthma Atopic urticarial Atopic dermatitis (allergic eczema) Wheal and flare reaction. 4. Parasitic diseases/tests: Casoni test (hydatid disease) Tropical Pulmonary Eosinophilia (TPE) Loeffler's pneumonia (Ascaris) Ground itch (Hookworm) Leakage of hydatid fluid Arthus reaction is type III hypersensitivity. Lepromin test and tuberculin test are type IV hypersensitivity.